Hypercalcemia is caused by all except:
1. Thyrotoxicosis
2. Vit. D intoxication
3. Sarcoidosis
4. Furosemide

Correct answer: 4. Furosemide

Explanation: Answer is D (Furosemide): Thiazide diuretics cause hypercalcemia while loop diuretics (furosemide) cause hypocalcemia. Furosemide is a loop diuretic that is characteristically associated with hypocalcemia and not hypercalcemia.